All the following are features of LSD intoxication except
1. Depersonalization
2. Flashback
3. Derealization
4. Synesthesia

Correct answer: 2. Flashback

Explanation: LSD is a type of hallicinogen LSD means lysergic acid diethylamide LSD was introduced and first used by ALBE HOFFMANN Flashback phenomenon is seen in withdrawal of LSD and not in LSD intoxication Ref: Essentials of postgraduate psychiatry By JN Vyas 1st ed Pg 326-330